The most important prognostic factor in carcinoma breast is
1. Size of tumour
2. Skin involvement
3. Axillary gland involvement
4. Involvement of muscles

Correct answer: 3. Axillary gland involvement

Explanation: The Nottingham prognostic index (NPI) is used to determine prognosis following surgery for breast cancer. 
Its value is calculated using three pathological criteria: the size of the lesion; the number of involved lymph nodes; and the grade of a tumour.
Size of the lesion is least important.
The extent of axillary lymph node involvement by breast cancer—is the most established and reliable prognostic factor for subsequent metastatic disease and survival